C-ANCA is associated with:
1. Protein-3
2. Myeloperoxidase
3. Alkaline phosphatase
4. Lactate dehydrogenase

Correct answer: 1. Protein-3